Phlyctenular conjunctivitis is associated with –
1. Tuberculosis
2. Syphilis
3. Stevens Johnson syndrome
4. Leprosy

Correct answer: 1. Tuberculosis

Explanation: Phlyctenular conjunctivitis is associated with :- Staphylococcus, tuberculosis, Moraxella Axenfeld bacillus and worm infestation.